Maximum permissible level of chloride in drinking water is:
1. 200 mg litre
2. 300 mg litre
3. 600 mg litre
4. 800 mg litre

Correct answer: 3. 600 mg litre

Explanation: Ans: C i.e. 600 mg litre Maximum permissible levels in water The standard prescribed for chloride is 200 mg/ litre The maximum permissible level of chloride is 600 mg/ litre